Not a measure of central tendency-
1. Mean
2. SD
3. Mode
4. Median

Correct answer: 2. SD

Explanation: Ans. is 'b' i.e., SD * The commonly used statistical average (measures of central tendency) are (i) Arithmetic mean, (ii) Median and (iii) Mode.